The vitamin A supplement administered in "Prevention of nutritional Blindness in children programme" contain
1. 25,000 IU/ml
2. 1 Lakh IU/ml
3. 3 Lakh IU/ml
4. 5 Lakh IU/ml

Correct answer: 2. 1 Lakh IU/ml

Explanation: Under the National Vitamin A Prophylaxis Programme, children between 1& 5 yrs of age were given oral dose of 2 lakh IU, every 6 months. But due to inadequate coverage, currently this vaccine is being given to children under 3 yrs under routine immunization to improve coverage i.e, (1lakh IU- 9months; 2lakh IU- 15 to 18 months) According to NPPNB, Vit A 2 lakh IU orally is given every 6 months to pre school children,(1-6yrs) And half the dose ( 1lakh IU orally) to children age between 6 months and 1 yr of age. Ref: Ghai , 9th edition chapter 8; PSM 25th edition.